Persons having anti-A and anti-B isoagglutinins in their serum belong to which blood group
1. A
2. B
3. AB
4. O

Correct answer: 4. O